Commonest symptom of pheochromocytoma is:
1. Palpitation
2. Headache
3. Sweating
4. Dyspnea

Correct answer: 2. Headache

Explanation: Classic triad: Headache, Diaphoresis, Palpitations. Most common symptom is headache. MC manifestation is Hypertension.